Infective diarrhea is caused by all except -
1. Rotavirus
2. Calcivirus
3. Flavivirus
4. Enterovirus

Correct answer: 3. Flavivirus

Explanation: Viral infection diarrhoea are; Rotaviruses Astroviruses Adenoviruses Calciviruses Coronaviruses Norwalk group viruses Enteroviruses CMV Reference; Park's Textbook of preventive and social medicine, 24th edition.Pg no. 237